Treatment of duodenal atresia is?
1. Roux-en-y procedure
2. Duodenoduodenostomy
3. Duodenojejunostomy
4. duodenal canalization

Correct answer: 2. Duodenoduodenostomy

Explanation: Duodenoduodenostomy REF: Bailey and love 24th ed p. 1198 The most common method of treatment of duodenal atresia is duodenoduodenostomy or duodenojejunostomy.